Stellate granuloma is found in:
1. Cat scratch disease
2. Leprosy
3. Coccidomycosis
4. Histoplasmosis

Correct answer: 1. Cat scratch disease

Explanation: Ref: Robbin's E-Book, P 462* Cat-scratch disease is a nodal manifestation of infection by Bartonella henselae characterized by necrotizing granulomatous inflammation exhibiting a characteristic stellate shape.